Not gluconeogenic?
1. Acetyl CoA
2. Lactate
3. Glycerol
4. Alanine

Correct answer: 1. Acetyl CoA

Explanation: Ans. is 'a' i.e., Acetyl CoA Substrates for gluconeogenesis are lactate (lactic acid), pyruvate, glycerol, glucogenic amino acids (all amino acids except leucine and lycine), propionate and intermediates of citric acid cycle.Acetyl CoA canot be converted into glucose. This is because the reactionPyruvate Acetyl-CoA" is irreversible.Pyruvate carboxylasePyruvate is the starting substrate for gluconeogenesis (Pyravate_ Oxaloacetate). As acetyl CoA cannot be converted into pyruvate, it is not a substrate for gluconeogenesis.